The frequency of beta waves (per sec) in EEG is
1. 0-4
2. 7-Apr
3. 13-Jul
4. 13-30

Correct answer: 4. 13-30

Explanation: D i.e. 13-30